All of the following may be associated with primary aldosteronism, Except:
1. Adrenal adenoma
2. Adrenal hyperplasia
3. Von-Hippel-Lindau syndrome
4. Adrenal carcinoma

Correct answer: 3. Von-Hippel-Lindau syndrome

Explanation: Answer is C (Von-Hippel-Lindau syndrome): Von Hippel Lindau syndrome is not associated with primary aldosteronism.